Otoacoustic emissions arises from
1. Inner hair cells
2. Outer hair cells
3. Both inner and outer hair cells
4. Organ of corti

Correct answer: 2. Outer hair cells

Explanation: OAE: They are low-intensity sounds produced by outer hair cells of a normal cochlea and can be elicited by a very sensitive microphone placed in the external ear canal and analyzed by a computer. The sound produced by outer hair cells travels in a reverse direction: outer hair cells - basilar membrane - perilymph - oval window - ossicles - tympanic membrane - ear canal. Ref: Dhingra; 6th Edition; pg no 27